Traveller's diarrhea is caused by
1. Shigella
2. E.coli
3. E.histolytica
4. Giardiasis

Correct answer: 2. E.coli

Explanation: Diarrheal strains of E.coli:Strain of E.coliDiseaseETEC Traveller's diarrhea EPEC Watery diarrhea in young children EIEC Dysentery EAEC Traveller's diarrhea / Persistent diarrhea (Ref: Ananthanarayan 9th edition, p279)